Which of the following drug inhibits plasminogen activation:
1. Aspirin
2. Tranexaemic acid
3. Alteplase
4. Streptokinase

Correct answer: 2. Tranexaemic acid

Explanation: Ans.B: Tranexaemic Acid Tranexaemic acid is an antifibrinolytic that competitively inhibits the activation of plasminogen to plasmin, a molecule responsible for the degradation of fibrin. It has roughly 7 times the antifibrinolytic activity of an older analogue, Epsilon-amino-caproic acid (EACA). Main side-effects are nausea and diarrhea.headache, giddiness and thrombophlebitis of injected vein are other adverse effects.